A young man reports chest pain retrosternal over last few hours. Pain is not related to . and relieved significantly on sitting and forward. Likely possibility is -
1. Angina pectoris
2. Acute pericarditis
3. Reflux esophagitis
4. Rib fracture

Correct answer: 2. Acute pericarditis

Explanation: Acute pericarditis is a type of pericarditis (inflammation of the sac surrounding the heart, the pericardium) usually lasting less than 6 weeks. It is the most common condition affecting the pericardium. Ref Davidson 23rd edition pg 525